Uncontrolled hypertension may cause which of the following complication in cataract surgery:
1. Glaucoma
2. Retinal detachment
3. Endophthalmitis
4. Suprachoroidal hemorrhage

Correct answer: 4. Suprachoroidal hemorrhage

Explanation: Uncontrolled hypertension is a r/f for suprachoroidal hemorrhage. Important Pre-op evaluation points for ocular surgeries Diabetes: Uncontrolled DM is a r/f for Endophthalmitis. Hypertension: R/f for suprachoroidal hemorrhage. Stroke: positional problem for the patient. HIV: Universal precautions to be taken. Epilepsy: General anesthesia may be preferred.